Barret Esophagus - False statement is
1. Patient is usually asymptomatic
2. Goblet cells seen on histology
3. Hyperplastic change in the lining mucosa of esophagus
4. Chronic GERD is the predisposing factor

Correct answer: 3. Hyperplastic change in the lining mucosa of esophagus

Explanation: Barret's esophagus:- * Barret's Esophagus is a metaplasia of Squamous Epithelium to Columnar Epithelium. * Intestinal Goblet cells on Histology is classical finding. * GERD is a predisposing factor and they will be usually asymptomatic and detected on endoscopy. * Strictures can occur in Barret's and are always seen in Squamo columnar Junction * Incidence of Cancer is 0.5% per patient per year. Ref:- Bailey and Love 27th Edition; Pg num:- 1081